The clinical features associated with coarctation of aorta in older children are the following except ?
1. Upper body hypertension
2. Prominent pulsation in neck
3. Fatiguableness, tiredness in leg
4. Absence of flow murmurs over scapular region

Correct answer: 4. Absence of flow murmurs over scapular region

Explanation: Ans. is 'd' i.e., Absence of flow murmurs over scapular region